Needle biopsy of solitary thyroid nodule in a young woman with palpable cervical lymph nodes on the same sides demonstrates amyloid in the stroma of lesion. Likely diagnosis is
1. Medullary carcinoma thyroid
2. Follicular carcinoma thyroid
3. Thyroid adenoma
4. Multinodular goitre

Correct answer: 1. Medullary carcinoma thyroid

Explanation: Presence of thyroid nodule along with palpable cervical lymph nodes and amyloid histologically is clearly indicative of Medullary Carcinoma Thyroid, as explained before. Ref : Bailey 25/e p797